Investigation of choice for neonatal hypertrophic pyloric stenosis is _________
1. X-ray
2. CT scan
3. MRI
4. USG

Correct answer: 4. USG

Explanation: The usual age of presentation is approximately 2 - 6 weeks of life. Approximately 95% of infantile hypertrophic pyloric stenosis cases are diagnosed in those aged 3-12 weeks. In addition, premature infants have a delayed diagnosis secondary to low birth weight and atypical presentation. DIAGNOSIS : History and physical examination Abdominal USG: Pyloric muscle thickness >3-4mm pyloric length > 15-18mm in presence of functional gastric outlet obstruction Upper GI study when atypical presentation or negative USG Diagnostic: narrowed, elongated pyloric channel with pyloric mass effect on stomach and duodenum -- String/ Double tract / Beak / Pyloric teat sign Reference: GHAI Essential pediatrics, 8th edition